Activation of which of the following enzymes is responsible for acute pancreatitis?
1. Phospholipase A2
2. Colipase
3. Procarboxypeptidase
4. ProElastase

Correct answer: 1. Phospholipase A2

Explanation: Enzyme activated by trypsin is phospholipase A2. This enzyme splits a fatty acid off phosphatidylcholine (PC), forming lyso-PC. Lyso-PC damages cell membranes. It has been hypothesized that in Acute pancreatitis - a severe and sometimes fatal disease, phospholipase A2 is activated prematurely in the pancreatic ducts, with the formation of lyso-PC from the PC that is a normal constituent of bile. This causes disruption of pancreatic tissue and necrosis of surrounding fat.